A plant prick can produce sporotrichosis. All are true statements about sporotrichosis except
1. Is a chronic mycotic disease that typically involves skin, subcutaneous tissue and regional lymphatics
2. Most cases are acquired cutaneous inoculation
3. Enlarged lymph nodes extending centripetally as a beaded chain are a characteristic finding
4. It is an occupational disease of butchers and doctors

Correct answer: 4. It is an occupational disease of butchers and doctors

Explanation: Sporotrichosis is a chronic infection involving cutaneous, subcutaneous and lymphatic tissue. It is frequently encountered in Gardners, forest workers and manual labourers. It may develop in otherwise healthy individuals also. Ref: Textbook of Microbiology, Ananthanarayan and Paniker; 9th edition